Risk factors for active tuberculosis among persons who have been infected with tubercle bacilli
1. Peptic ulcer
2. Silicosis
3. Leprosy
4. Acute renal failure

Correct answer: 2. Silicosis

Explanation: (B) Silicosis > Risk Factors for Active Tuberculosis among persons who have been infected with Tubercle BacilliFACTOR RISK/ODDSRELATIVE* Recent infection (<1 year)12.9* Fibrotic lesions (spontaneously healed)2-20* Comorbidity * HIV infection100* Silicosis30* Chronic renal failure/hemodialysis10-25* Diabetes2-4* Intravenous drug use10-30* Immunosuppressive treatment10* Gastrectomy2-5* Jejunoileal bypass30-60* Posttransplantation period (renal, cardiac)20-70* Malnutrition & severe underweight2